All are true about principles of primary health care except?
1. Community participation
2. Intersectoral co-ordination
3. Unequitable distribution
4. Appropriate technology

Correct answer: 3. Unequitable distribution

Explanation: Ans. (c) Unequitable distributionRef : K. Park 23rd ed. / 891-92* PHC is Primary Health Care outlined by Alma Ata in 1978.* It is defined as essential health care, which is characterized by 4 As# Acceptable (it should be acceptable by everyone)# Accessible (it should be accessible by everyone)# Available (it should be available to everyone)# Affordable (it should be affordable to everyone)8 Elements of PHC (Primary Health Care) (remembered as ELEMENTS)EEssential drugsLLocally endemic disease prevention and controlEEPI (Expanded program of immunization)MMCH (Maternal and child Health care including family planning)EEducationNNutritionTTreatment of common ailmentsSSafe water supply and sanitation* Equity of distribution is NOT an element of PHC, but it is one of the principles/pillars of the PHC.* 4 Principles/Pillars of Primary Health Care:# Equitable distribution# Community participation# Intersectoral coordination# Appropriate technology.